Chagas disease is caused by?
1. Trypanosoma cruzi
2. Trypanosoma gamb
3. Trypanosoma brucei
4. Leishmania donova

Correct answer: 1. Trypanosoma cruzi

Explanation: ANSWER: (A) Trypanosoma cruziREF: Paniker 6th ed p. 42-43Although the genus Trypanosoma contains many species of protozoans, only T. cruzit T. brucei gamhiense, and T. brucei rhodesiense cause disease in humans. T. cruzi is the etiologic agent of Chagas' disease in the Americas; T. b. gamhiense and T. b. rhodesiense cause African trypanosomiasisTrypanosomeVectorDiseaseInfective stageT.bruceiTse tse flyAfrican trypanosomiasis sleeping sicknessMetacyclic trypomastigoteT. cruziReduvid bugChagas disease (south american trypanosomiasis)Metacyclic trypomastigote